Which of the following statements about Rheumatoid Factor is true ?
1. It is an IgM antibody directed against IgG
2. It is an IgG antibody directed against 1gM
3. It is more specific than Anti-CCP antibodies
4. It is positive in all cases of Juvenile Rheumatoid Arthritis

Correct answer: 1. It is an IgM antibody directed against IgG

Explanation: In rheumatoid arthritis it is suspected that antibodies plays a role in the disease. About80% of patients have serun IgM autoantibodies that bind to fc portion of their own self IgG. These antibodies are called rheumatoid factor. Ref :Robbins basic pathology 9th edition page no 784,green box=Pathogenesis